In necrotising enterocolitis earliest change seen in X–ray abdomen is –
1. Non specific bowel dilatation
2. Gas in the intestinal wall
3. Gas in splenic flexure
4. Ground glass appearance

Correct answer: 1. Non specific bowel dilatation

Explanation: Earliest X-ray finding in neonatal necrotizing enterocolitis --> Nonspecific dilatation of intestine.
Characteristic X-ray finding of neonatal necrotizing enterocolitis --> Pneumatosis intestinalis (Gas in intestinal wall).